Rejection of allografts are complex process primarily involving -
1. Immune complex deposition
2. Vascular blockage
3. Cell-mediated immunity and circulationg antibodies
4. Infection

Correct answer: 3. Cell-mediated immunity and circulationg antibodies

Explanation: The allograft rejection involves a first set and second set response. The first set response is brought about almost exclusively by T lymphocytes ( cell-mediated. Humoral antibodies are also produced during allograft rejection. Reference:athanarayan & paniker's 9th edition, pg no: 184